Which of the following does not stimulate enterogastric reflex?
1. Products of protein digestion in the duodenum
2. Duodenal distension
3. H+ ions bathing duodenal mucosa
4. Cholecystokinin

Correct answer: 4. Cholecystokinin